Which of the following factor is mainly respon-sible for virulence in Streptococcus :
1. Carbohydrate
2. Streptokinase
3. Streptodornase
4. M protein

Correct answer: 4. M protein

Explanation: M Protein

It is major virulence factor of group A Strep. pyogenes.
It is hair like projection of cell wall.
It is of 80 types (basis of Griffith classification) so immunity is type specific.
M protein is also found in Group G streptococci.

Remember :

Carbohydrate is used as the basis of Lancefields classification.
Streptokinase or fibrolysin and streptodornase or DNAse liquefy pus so used in enzymatic debridement